Drug of choice for MRS A is -
1. Adriamycin
2. Vancomycin
3. Daptomycin
4. Demeclocycline

Correct answer: 2. Vancomycin

Explanation: Ans. is 'b' i.e., Vancomycin Methicillin resistance staphylococcus aureus (MRSA)* MRSA is a bacterium responsible for several difficult-to-treat infections in humans.* It may also be referred to as multi-drug resistant staphylococcus aureus or oxacillin resistant staphylococcus aureus (ORSA).* MRSA is by definition any strain of staphylococcus aureus that is resistant to a (3-lactams including penicillin, methicillin, cloxacilliny nafcillin, oxacillin and cephalosporins.* Resistance develops due to alteration in transpeptidase (penicillin binding protein) on which all fi-lactam antibiotic act: so, MRSA is resistant to all fi-lactam antibiotics.* MRSA (especially community acquired MRSA; CA-MRSA) display enhanced virulence, spreading more rapidly and causing disease much more severe than traditional staphylococcus aureus.* Vancomycin is the DOC for MRSA.